All of the following are tyrosine derivatives, EXCEPT
1. Serotonin
2. Melanin
3. Epinephrine
4. Thyroxine

Correct answer: 1. Serotonin

Explanation: Melanin, Catecholamines (Dopamine, Norepinephrine, Epinephrine), Thyroxine are the derivatives are tyrosine. Serotonin is a tryptophan derivative.